Herpes zoster ophthalmicus is
1. Reactivation of herpes in optic nerve
2. Reactivation of herpes in trigeminal nerve
3. Reactivation of herpes in occulomotor nerve
4. herpes in immunocompromised

Correct answer: 2. Reactivation of herpes in trigeminal nerve

Explanation: It is due to reactivation of herpes in ophthalmic branch of trigeminal nerve.